The thoracic duct crosses the posterior mediastinum at the level of which vertebral body
1. T5
2. T6
3. T7
4. T8

Correct answer: 1. T5

Explanation: Thoracic duct ascents through posterior mediastinum from the level of T12 to T5.Ref: BD Chaurasia; Volume 1; 6th edition; Pg no: 285